A patient gives hideg recurrent oral ulcers. The ulcers are small with a yellow floor surrounded by an erythematous halo on lips. He also has multiple, tender nodules on shin. The probable diagnosis is
1. Pemphigus vulgaris
2. Bechet's syndrome
3. Herpes Labialis
4. Fixed drug eruption

Correct answer: 2. Bechet's syndrome

Explanation: B i.e. Bechet's syndrome Recurrent oral apthous ulcers (oral ulcers with yellow floor surrounded by erythematous halo) with erythema nodosum like nodules (multiple, tender nodules on shin) suggest the diagnois of Behcet's syndrome.